Buprenorphine is partial agonist of-
1. Mu ( ) receptor
2. Delta (d) receptor
3. Kappa (K) receptor
4. Sigma (s) receptor

Correct answer: 1. Mu ( ) receptor

Explanation: Ans. is 'a' i.e., Mu ( ) receptor Nature of interaction of opioid ligands with the three major types of opioid receptors, along with equivalent analgesic doses Ligand (mu) lc (kappa) S (delta) Analgesic dose (mg) 1. Morphine Ago. (St) Ago. (W) Ago. (W) 10 2. Nalorphine Anta. (St) Ago. (M) 3. Pentazocine P. Ago., Anta. (W) Ago. (M) 30-60 4. Butorphanol P. Ago. (W) Ago. (St) 1-3 5. Buprenorphine P. Ago. Anta. (M) 0.3-0.4 6. Naloxone Anta. (St) Anta. (M) Anta. (W) 7. Naltrexone Anta. (St) Anta. (M) Anta. (W) 8. Met/Leu enkephalin Ago. (M) Ago. (St) 9. (3-Endorphin Ago. (St) Ago. (St) 10. Dynorphin A, B Ago. (W) Ago. (St) Ago. (W)